Kobner phenomenon is seen with ?
1. Molluscum
2. Pembhigus
3. Atopic dermatitis
4. None

Correct answer: 1. Molluscum

Explanation: Ans. is 'a' i.e., Molluscum Disorders showing Koebner's phenomenon Lichen planus soriasis Vitiligo Lichen nitidus Molluscum contigiosum Was Darrier disease (keosis follicularis) DLE Pityriasis rubra pilaris